All of the following maneuvers are used in shoulder dystocia, EXCEPT:
1. Woods Corkscrew Maneuver
2. Mc Roberts Maneuver
3. Suprapubic Pressure
4. Mauriceau - Smellie Veit Maneuver

Correct answer: 4. Mauriceau - Smellie Veit Maneuver

Explanation: Mauriceau-Smellie-Veit maneuver is used to assist in the delivery of the fetal head manually. While the other three maneuvers (McRoberts' maneuver, Woods corkscrew maneuver andsuprapubic maneuver) are used in shoulder dystocia. Ref: Management of labor and delivery By Robert K. Creasy; pages 364-366, 328-350; Shoulder Dystocia and Birth Injury: Prevention and Treatment By James A. O'Leary, Page 107-114.